Normal pressure Hydrocephalus is characterized by all except -
1. Aphasia
2. Dementia
3. Ataxia
4. Urinary incontinence

Correct answer: 1. Aphasia